CSF is formed by -
1. Arachnoid villi
2. Venous plexus
3. Choroid plexus
4. Subfornical nucleus

Correct answer: 3. Choroid plexus

Explanation: Ans. (c) Choroid plexus(Ref: Ganong, 25th ed/p.603)CSF is produced from choroid plexuses epithelial cells. It is absorbed through the arachnoid villi into veins